Moron is the one with an IQ of:
1. 0-24
2. 25-49
3. 50-69
4. 70-79

Correct answer: 3. 50-69

Explanation: Levels of intelligence based on IQ levels: Levels of intelligence IQ range Idiot 0-24 Imbecile 25-49 Moron 50-69 Borderline 70-79 Low normal 80-89 Normal 90-109 Superior 110-119 Very superior 120-139 Near Genius 140 and over Calories of intellectual disability based on IQ levels: Mental status IQ range Normal IQ 70 and over Mild intellectual disability 50-69 Moderate intellectual disability 35-49 Severe intellectual disability 21-34 Profound intellectual disability 20 or below Ref: Park 25th edition Pgno: 716